Hormonal stimulation of the formation of second messenger inositol 1, 4, 5-triphosphate (IP3) quickly leads to the release of which other intracellular messenger?
1. Cyclic AMP
2. Prastaglandin
3. Calcium
4. Leukotriene

Correct answer: 3. Calcium

Explanation: Ans. is 'c' i.e., Calcium o 1P3 mobilizes Ca'from intracellular organelles and increases cytosolic Ca' and then Ca" acts as third messenger.